Culture medium used for entamoeba histolytica?
1. Blood agar
2. Philip's medium
3. CLED medium
4. Trypticase serum

Correct answer: 2. Philip's medium

Explanation: Ans. is 'b' i.e., Philip's medium Cultures media used for cultivation of E.histolytica are :- Boeck and Drbohlav's medium Jones medium Philip's medium Balamuth's medium Shaffer and Frye's medium Diamond's medium